Length of most of the bacteria of medical importance are about?
1. 0.5-1 micron
2. 1-3 micron
3. 3-5 micron
4. 5-10 micron

Correct answer: 3. 3-5 micron

Explanation: The limit of resolution with the unaided eye is about 200 microns bacteria being much smaller can be visualized only under magnification. Bacteria of medical importance generally measures 0.2-1.5 um in diameter and about 3-5 um in length Ref: Ananthanarayan & paniker's Textbook of Microbiology 9th edition pg no 10